A person following a road-traffic accident presented in emergency with laceration of inguinal region. On examination there was swelling of inguinal region and distal pulsation was felt; internal iliac artery was normal, common iliac and external femoral artery was normal but common femoral vein is transected. Treatment of choice is -
1. Vein repair with continuity
2. Sclerotherapy
3. Ligation of femoral artery and vein
4. Amputation below knee

Correct answer: 1. Vein repair with continuity